True about Nasal Endoscopy is:
1. There are 4 passes
2. First pass is to examine middle meatus
3. Second pass is to examine the superior meatus
4. Third pass is the examine the inferior meatus

Correct answer: 3. Second pass is to examine the superior meatus

Explanation: All other options are wrong – the right answers are:
There are three passes
First is along inferior meatus
Second is to inspect superior meatus and sphenoethmoid recess
Third is to inspect the middle meatus